Drugs which cause hirsutism are all except
1. Methyldopa
2. Penicillamine
3. Phenothiazines
4. Metoclopramide

Correct answer: 2. Penicillamine

Explanation: Penicillamine causes Hypertrichosis, not Hirsutism.